All of the following are pathologic features of primary tuberculosis, EXCEPT:
1. Cavitation
2. Caseation
3. Calcification
4. Langerhans giant cell

Correct answer: 1. Cavitation

Explanation: Primary TB is a form of disease that develops in a previously unexposed, and therefore unsensitized person. Secondary TB is the pattern of disease that arises in a previously sensitized host. Cavitation occurs in secondary TB. The caseous necrosis occurring in primary TB is converted into a cavity in secondary TB. Ref: Robbins Pathologic Basis of Disease, 6th Edition, Pages 723-4